Multiple cutaneous sebaceous adenoma are seen in
1. Gardener's syndrome
2. Turcott's syndrome
3. Muir Torre syndrome
4. Cowden Syndrome

Correct answer: 3. Muir Torre syndrome

Explanation: Ref: Hall manual of skin